Open reduction & internal fixation does all except:
1. Consolidation
2. Stability
3. Better function
4. Better alignment

Correct answer: 1. Consolidation

Explanation: Ans: A (Consolidation) Ref: Apleys System of Orthopaedics and Fractures, 9th edition, Pg. 692, 701.Explanation:Consolidation is a stage in fracture healing which is different from union in that union is incomplete repair: the ensheathing callus is calcified.Clinically the fracture site is still a little tender and. though the bone moves in one piece (and in that sense is united), attempted angulation is painful.X-Rays show the fracture line still clearly visible, with fluffy callus around it.Repair is incomplete and it is not safe to subject the unprotected bone to stress.But consolidation is complete repair; the calcified callus is ossified.Clinically the fracture site is not tender, no movement can be obtained and attempted angulation is painless.X-rays show the fracture line to be almost obliterated and crossed by bone trabeculae, with well-defined callus around it.Repair is complete and further protection is unnecessary.Stability, better function and alignment are advantages conferred by the technique of open reduction and internal fixation in fractures that cannot be treated by close reduction (fracture neck of femur), are unstable and liable to cause functional derangement if treated by closed methods.